A cognitive model of depression is given by -
1. Ellis
2. Beck
3. Godfrey
4. Meicheinbanon

Correct answer: 2. Beck

Explanation: Aron Beck postulated a cognitive triad of depression that consists of

1) View about the self → a negative self-precept;
2) About the environment → A tendency to experience the world as hostile and demanding, 
3) About the future → Expectation of suffering and failure. 

Cognitive therapy consists of modifying these distortions.